All of the following are true for Turners syndrome except:
1. Height is more than 145 cm
2. Webbing of neck
3. Increased carrying angle
4. Coarctation of aorta may be seen

Correct answer: 1. Height is more than 145 cm

Explanation: Ans: A i.e. Height is more than 145 Turner syndrome Adult stature in Turner syndrome patients is less than 145 cm Associated congenital defects are common in heart (coarctation of aorta) Lymphedema, Short stature, Webbed neck, Low posterior hairline, Cubitus valgus (increased carrying angle), Finger deformities, Short 4th metacarpal, 45 X0 karyotype Down syndrome MC trisomy, Brachycephalic skull, Hypotonia, Palpebral fissure slopes upwards, Marked epicanthic folds, Brushfield's spots, Increased nuchal fold thickness, Iliac index less than 60, Simian crease (single palmar crease), MC associated cardiac lesions: VSD Duodenal atresia, CML & transient myeloproliferative disorders are seen May be associated with Alzheimer's dementia, MC cause of down syndrome: Maternal non-disjunction Klinefelter syndrome 47 XXY MC cause of hypergonadotrophic hypogonadism, Subnormal intelligence Fragile X syndrome Large forehead, Large head, Macro-orchidism, Moderately to severely retarded